The most common histological variant of renal cell carcinoma is -
1. Clear cell type
2. Chromophobe type
3. Papillary type
4. Tubular type

Correct answer: 1. Clear cell type